Inferior angle of scapula lies at which vertebral level?
1. T4
2. T6
3. T8
4. T10

Correct answer: 3. T8

Explanation: Ans. C.T8 Inferior angle of scapula lies opposite spinous process of T7 or Upper part of body of T8 Spine/spaceVertebral body levelVisceraC5 C6 Cricoid cartilage; start of oesophagusC7 C7 -T1 Lung apexT3 Upper T4Aorta reaches vertebral column; medial part of scapular spineT3 -T4 spaceT4-5 discSternal plane/angle of LouisT4 Upper T5 Tracheal bifurcation; concavity of aortic arch; azygos vein-superior vena cava junction; bifurcation of pulmonary trunk; upper border of heartT7 Upper T8 Inferior angle of scapula; lower border of heart; inferior vena cava crosses diaphragm; central tendon of diaphragmT10 Upper T11 Lower border of lung; cardia of stomach; upper border of kidney